Heparin induced thrombocytopenia is due to antibodies against
1. PF - 1
2. PF - 2
3. PF - 3
4. PF - 4

Correct answer: 4. PF - 4

Explanation: Antibodies against platelet factor-4 (PF-4) causes aggregation of platelets and thrombosis, thus leads to thrombocytopenia.